Pringle manoeuvre may be required for treatment of
1. Injury to tail of pancreas
2. Mesentric ischemia
3. Bleeding esophageal varices
4. Liver laceration

Correct answer: 4. Liver laceration

Explanation: In case of liver lacerations, the inflow from the portal triad is controlled by a Pringle's manoeuvre, with direct compression of portal triad, either digitally or using a clamp. This has the effect of reducing arterial and portal venous inflow into the liver, although it doesn't control the back flow from inferior vena cava and hepatic veins. Reference : Bailey & Love, 27th Edition, page no = 374.